Salmonella typhi can be isolated at different times from
1. Feaces
2. Blood
3. Urine
4. All the above

Correct answer: 4. All the above